The most important channel of elimination of digoxin is
1. Hepatic metabolism
2. Glomerular filtration
3. Tubular secretion
4. Excretion in bile

Correct answer: 2. Glomerular filtration

Explanation: PHARMACOKINETICS Presence of food in stomach delays absorption of digoxin. The volume of distribution of digoxin is large. It is concentrated in the heart, skeletal muscle, liver and kidney. Digoxin is primarily excreted unchanged by the kidney: mainly by glomerular filtration; rate of excretion is altered parallel to creatinine clearance. Its t 1/2 is prolonged in elderly patients and in those with renal insufficiency: dose has to be reduced. Ref:- kd tripathi; pg num:-515,516